Which of the following fat-soluble vitamin is cell membrane component and antioxidant?
1. Vitamin E
2. Vitamin C
3. Vitamin A
4. Vitamin K

Correct answer: 1. Vitamin E

Explanation: Vitamin E Is the Major Lipid Soluble Antioxidant in Cell Membranes & Plasma Lipoproteins